Prophylactic craniospinal irradiation is required in
1. Medulloblastoma
2. Meningoma
3. Oligodendroglioma
4. All of the above

Correct answer: 1. Medulloblastoma

Explanation: Craniospinal irradiation is required in CNS tumors which can spread through CSF like Medulloblastoma, CNS lymphomas. It is also required in case of highly malignant tumors like glioblastoma multiforme.